Short stature with widely spread nipples and webbing of neck is seen in-
1. Down's syndrome
2. Turner's syndrome
3. Klinefelter's syndrome
4. Edward's infarction

Correct answer: 2. Turner's syndrome